What does the term "bioavailability" mean?
1. Plasma protein binding degree of substance
2. Permeability through the brain-blood barrier
3. Fraction of an uncharged drug reaching the systemic circulation following any route administration
4. Amount of a substance in urine relative to the initial doze

Correct answer: 3. Fraction of an uncharged drug reaching the systemic circulation following any route administration

Explanation: Bioavailability is defined as the fraction of unchanged drug reaching the systemic circulation following administration by any routeBasic and clinical pharmacology Katzung 13th edition pg 47